Which of the following is true regarding anthrax
1. M' Fadyean reaction shows capsule
2. Human are usually resistant to infection
3. Less than 100 spores can cause pulmonary infection
4. Gram stain shows organism with bulging spores

Correct answer: 1. M' Fadyean reaction shows capsule

Explanation: M' Fadyean's reaction: When blood films containing anthrax bacilli are stained with polychrome methylene blue for a few seconds and examined under a Microscope, amorphous purplish material is noticed around the bacilli. This represents the capsular material and is characteristic of the anthrax bacilli. Reference: Textbook of Microbiology; Anathanarayan and panicker's; 10th edition; Page no: 251